Which one of the following does not cause post- splenectomy septicemia -
1. Streptococcus pneumoniae
2. Neisseria miningitides
3. Haemophilus influenza
4. Staphylococcus aureus

Correct answer: 4. Staphylococcus aureus

Explanation: Ref image Harrison's internal medicine 20e p879